Nerve ending sensitive to noxious stimuli are present in all except
1. Stomach
2. Intestine
3. Mesentry
4. Brain

Correct answer: 4. Brain

Explanation: There are no pain receptors in the brain itself. But he meninges (coverings around the brain), periosteum (coverings on the bones), and the scalp all have pain receptors. Surgery can be done on the brain and technically the brain does not feel that pain Ref: guyton and hall textbook of medical physiology 12 edition page number:685,686,687